Which is the most common complication of high myopia:
1. Glaucoma
2. Cataract
3. Haemorrhage
4. Retinal detachment

Correct answer: 4. Retinal detachment

Explanation: Ans. Retinal detachment